Preferred method for obtaining dense nephrograms
1. Increased concentration of contrast
2. Dehydration
3. Uretric compression
4. Rapid injection of contrast

Correct answer: 4. Rapid injection of contrast

Explanation: Rapid (bolus) injection of contrast is preferred method.